MONICA project was undertaken by WHO for monitoring changing trends in which of the following condition?
1. Diabetes
2. Coronary heart disease
3. Obesity
4. Malnutrition

Correct answer: 2. Coronary heart disease

Explanation: WHO has completed a project known as MONICA (Multinational monitoring of trends and determinants in cardiovascular diseases) to elucidate the reasons for the changing trends in coronary heart disease. 41 centres in 26 countries participated in the project. Ref: Park 21st edition, page 338. Chapter: Non communicable disease.